What is purpose of partogram?
1. To monitor progress of labour
2. To monitor induction of labour
3. To find C PD
4. To asses the female pelvis

Correct answer: 1. To monitor progress of labour

Explanation: ANSWER: (A) To monitor progress of labourREF: Previous question